The most commonly seen primary orbital tumour in children is:
1. Rhabdomyosarcoma
2. Glioma of optic nerve
3. Optic nerve sheath meningioma
4. Retinoblastoma

Correct answer: 1. Rhabdomyosarcoma

Explanation: Ans. Rhabdomyosarcoma